A 16 year old male is referred by high school coach for a physical examination before joining the football team. His elder brother had died suddenly during football practise, no autopsy was done. The patient has a loud systolic murmur on chest auscultation. All of the following would be constant with hypertrophic cardiomyopathy, except-
1. A crescendo-decrescendo systolic murmur
2. Murmur radiating to neck
3. Brisk carotid upstroke
4. Increase in murmur during valsalva or standing

Correct answer: 2. Murmur radiating to neck

Explanation: Ref: Harrison's 19th E pg 1568 Murmur of HOCM doesn't radiate to neck. Hypertrophic cardiomyopathy is defined as left ventricular hypertrophy that develops in the absence of causative hemodynamic factors, such as hypertension, aortic valve disease, or systemic infiltrative or storage diseases